Conversion of Norepinephrine to Epinephrine -
1. COMT
2. MAO
3. PENMT
4. SAM

Correct answer: 3. PENMT

Explanation: Ans. (c) PENMT Ref: Harper's Biochemistry 30th edn. /509-510 *Phenylethanolamine N-methyltransferase (PENMT) is an enzyme found in the adrenal medulla that converts Norepinephrine (Noradrenaline) to Epinephrine (Adrenaline) cortex. *S. Adenosyl -L- Methionine (SAM) is a required cofactor.